Hypnagogic hallucinations are seen in
1. Depression
2. Mania
3. Narcolepsy
4. Schizophrenia

Correct answer: 3. Narcolepsy

Explanation: NarcolepsyThe classic tetrad of symptoms is:i. Sleep attacks (most common): ii. Cataplexy: iii. Hypnagogic hallucinations: iv. Sleep paralysis (least common): Ref: A Short Textbook of Psychiatry, Niraj Ahuja, 7th Edition, pg. no. 138